The International Neuroblastoma Staging System (INSS) stage 4S includes metastasis to all the following except
1. Liver
2. Skin
3. Bone marrow
4. Bone

Correct answer: 4. Bone

Explanation: INSS stage 4S refers to neuroblastoma in children younger than 1 yr of age with dissemination to liver, skin, and/or bone marrow without bone involvement and with a primary tumor that would otherwise be staged as INSS stage 1 or 2. Reference: Nelson; Neuroblastoma; Page no: 2463